Hemmorrhagic fever is not caused by -
1. Yellow fever
2. KFD
3. Japenese encephalitis
4. Dengue fever

Correct answer: 3. Japenese encephalitis